Treponema pallidum causes?
1. Condyloma acuminata
2. Condyloma lata
3. Both
4. None

Correct answer: 2. Condyloma lata

Explanation: Ans. b (Condyloma lata). (Ref. Harrison Medicine 18th, Chapter 53; 185.)SEXUALLY TRANSMITTED DISEASES1.ChancroidHaemophilus ducreyii2.Granuloma inguinaleCalymmatobacterium granulomatis,3.Syphilis (Condyloma lata)Treponema pallidum.4.Herpes genitalisHerpes simplex virus Type II5.HPVCondyloma accuminata Condyloma accuminata- are caused by human papilloma virus that is transmitted by sexual contact.- Early lesions are pink conical papules.- Pink, fleshy pedunculated cauliflower like lesions are seen in advanced cases.- Topical podophyllin (20%) is usually effective.Condyloma lata- a broad & flat Syphillite condyloma located in warm, moist, intertriginous area, especially about the anus & external genitals.- It may become hypertrophic & erode to form a soft red mass with a moist, weeping surface called also flat condyloma seen mainly in secondary syphilis.